NADPH actions in RBC are a/e
1. Produce ATP
2. Stabilizes the membrane
3. Reductive biosynthesis
4. GP6D deficiency causes decreased synthesis of NADPH

Correct answer: 1. Produce ATP

Explanation: ATP is not produced by NADPH. ATP is produced by reducing equivalents like NADH, FADH2. W When NADH and other reducing equivalents transfer their electrons through Electron transport chain in the Mitochondrial inner membrane and generate proton motive force which brings about the ATP synthesis by the ATP synthase complex. Both nicotinamide adenine dinucleotide (NAD+) or nicotinamide adenine dinucleotide phosphate (NADP+) are co-factors of vitamin niacin used by dehydrogenases. However NAD-linked dehydrogenases catalyse oxido-reduction reactions in the oxidative pathways of metabolism, particularly in glycolysis, in the citric acid cycle and in the respiratory chain of mitochondria.